Which of the following anesthetic agent is frequently
used for conscious sedation?
1. Nitrous oxide and oxygen
2. Chloral hydrate
3. Diazepam
4. Ether

Correct answer: 1. Nitrous oxide and oxygen